Building block for fatty acid biosynthesis is:
1. NADH
2. Acetyl-CoA
3. Acyl-CoA
4. Acetate

Correct answer: 2. Acetyl-CoA

Explanation: Fatty acid biosynthesis in the cytosol requires a sufficient concentration of NADPH and acetyl CoA.NADPH is generated in the cytosol by the pentose phosphate pathway, and by the malic enzyme which oxidizes malate into pyruvate and CO2, generating NADPH.